Incompatible blood transfusion leads to all except
1. Increased plasma bilirubin
2. Increased plasma prothrombin
3. Jaundice
4. Renal failure

Correct answer: 2. Increased plasma prothrombin